The term "Guyon's canal" is in relation to which of the following?
1. Anterior interosseus nerve
2. Ulnar nerve
3. Median nerve
4. Radial artery

Correct answer: 2. Ulnar nerve

Explanation: Guyon's canal or ulnar tunnel is an osseofibrous tunnel formed by the pisohamate ligament bridging the concavity formed by the pisiform bone and hook of the hamate. The ulnar a nerve passes through this tunnel in the wrist and its compression here lead to ulnar tunnel syndrome characterised by hypoesthesia of medial 1 and 1/2 fingers and weakness of intrinsic muscles of the hand. Ref: Textbook of anatomy upper limb and thorax, Vishram Singh, 2nd edition, page no.150, 180